Most effective way of reducing ICP?
1. Osmotherapy
2. vasopressors
3. Ventriculostomy
4. Elective ventilation

Correct answer: 3. Ventriculostomy

Explanation: Most effective way of reducing ICP: Ventriculostomy Fully automated process in which ICP monitor catheter is placed in left horn of ventricle and when sensor detects ICP more than 25mmHg, one way valve opens and CSF flows into sterile container. Osmotherapy: IV mannitol, IV saline 3% and IV Acetazolamide. Vasopressors: Nor-epinephrine and Dopamine. Elective ventilation: Least effective method.